All are important medical measures to treat radiation proctitis , EXCEPT:
1. Formalin application
2. Topical sucralfate
3. 5-Aminosalicylic acid enema
4. Azathioprine enema

Correct answer: 4. Azathioprine enema

Explanation: Treatment for chronic radiation proctitis : Usually unsatisfactory. Formalin application Topical sucralfate with oral metronidazole 5-amino salicylic acid enemas short chain fatty acids Antioxidants such as vitamin E and pentoxifylline Hyperbaric oxygen Ref:World J Gastroenterol 2011 November 7; 17(41): 4554-4562.